Incidence of diarrhoea in a community can be calculated by-
1. Case control study
2. Cohort study
3. Cross sectional study
4. Double blind placebo control study

Correct answer: 2. Cohort study

Explanation: Cohort study is also known as incidence study. The cohorts are identified prior to the appearance of disease under investigation. The study group so defined are observed over a period of time to determine the frequency of disease among them. (refer pgno:75 park 23rd edition)